Which bone pathology does patients with Maffucci syndrome and olliers disease present with?
1. Osteochondroma
2. Enchondromas
3. Ewings sarcoma
4. Osteosarcoma

Correct answer: 2. Enchondromas

Explanation: Both cases present with multiple enchondromas